A 58-year-old male patient presents with halitosis, mild dysphagia and regurgitation of previous day food. On radiological examination this is the presentation of the patient, where is the location of this presentation?
1. Anterior segment of the esophagus along superior pharyngeal constrictor muscle
2. Posterior segment of the esophagus along superior pharyngeal constrictor muscle
3. Anterior segment of the esophagus along inferior pharyngeal constrictor muscle
4. Posterior segment of the esophagus along inferior pharyngeal constrictor muscle

Correct answer: 4. Posterior segment of the esophagus along inferior pharyngeal constrictor muscle

Explanation: Ans. (d) Posterior segment of the esophagus along inferior pharyngeal constrictor muscle.Zenker's diverticulum is not really an esophageal diverticulum as it protrudes posteriorly above the cricopharyngeal sphincter through the natural weak point (the dehiscence of Killian) between the oblique and horizontal (cricopharyngeus) fibers of the inferior pharyngeal constrictor. This leads to halitosis and esophageal dysphagia.Image Source- style="font-family: Times New Roman, Times, serif">